Death due to shock after burns occur within
1. 2 hours
2. Within 24 hours
3. 24-48 hours
4. 5 days

Correct answer: 3. 24-48 hours

Explanation: Fatal period Most of the death from burn injuries occur from shock within about 24-48 hours. Death due to toxemia occurs usually within 4-5 days. The first week happens to be the most critical period. In suppurative cases, death may ensue after a few weeks. Ref: TEXTBOOK OF FORENSIC MEDICINE AND TOXICOLOGY KRISHNAN VIJ FIFTH EDITION PAGE 163